Which of the following causes most damage to the protective layer of the tooth:
1. Intrusion
2. Extrusion.
3. Lateral luxation.
4. Concussion.

Correct answer: 1. Intrusion